2 year old boy of weight 12 kg with vitamin A deficiency what is oral dose of vitamin A
1. 50, 000 I.U
2. 1 lakh I.U.
3. 1.5 lakh I.U
4. 2 lakh I.U

Correct answer: 4. 2 lakh I.U

Explanation: Ans. is 'd' i.e., 2 lakh I.U Vitamin A It is a fat-soluble vitamin. Causes of Vitamin A deficiency include causes of Vitamin A deficiency are inadequate intake, fat malabsorption, or liver disorders The ocular manifestations of vitamin A are collectively called xerophthalmia .It can affect any age group, but its most severe blinding complications affect children aged 6 months to 3 years. The WHO classification of vitamin A deficiency is as follows: XNNight blindness:Night blindness is the earliest clinical symptom X1A Conjunctival xerosis XIB Bitot's spot : Bitot's spots are the buildup of keratin located superficially in the conjunctiva, which are oval, triangular or irregular in shape. X2 Corneal xerosis X3A Corneal ulceration/keratomalacia involving one-third or less of the cornea X3B Corneal ulceration/keratomalacia involving one-half or more of the cornea XS Corneal scar Treatment Oral therapy: The oral regimen of vitamin A is 200,000 IU on day of presentation, next day, and 2-4 weeks later. Children less than 1 year of age or less than 8 kg should receive half the dose of the above dose. Repeat 200,000 IU every 6 months up to 6 years of age to prevent recurrence. Parenteral therapy: If the patient has severe disease, is unable to take oral feeds, or has malabsorption, the preferable dose is 100,000 IU of vitamin A given intramuscularly. Children with severe measles should also receive vitamin A as they are very likely to be benefited from such therapy both in terms of saving sight and reducing case fatality. Prevention Prophylaxis consists of periodic administration of Vitamin A supplements. WHO recommended schedule, which is universally recommended is as follows: Infants 6-12 months old and any older children weighing less than 8 kg - 100,000 IU orally every 3-6 months Children over 1 year and under 6 years of age - 200,000 IU orally every 6 months Infants less than 6 months old, who are not being breastfed - 50,000 IU orally should be given before they attain the age of 6 months